True regarding nasopharynx are all except
1. Also called as epipharynx
2. Lateral wall has pharyngeal opening of Eustachian tube
3. Fossa of rosenmuller corresponds to the internal carotid artery
4. Passavant's muscle is formed by Stylopharyngeus

Correct answer: 4. Passavant's muscle is formed by Stylopharyngeus

Explanation: PASSAVANT'S RIDGE It is a mucosal ridge raised by fibres of palatopharyngeus. It encircles the posterior and lateral walls of nasopharyngeal isthmus. Soft palate, during its contraction, makes firm contact with this ridge to cut off nasopharynx from the oropharynx during the deglutition or speech. Ref:- Dhingra; pg num:-240